Fetal growth is maximally affected by –
1. Insulin
2. Growth hormone
3. Cortisol
4. Thyroxine

Correct answer: 1. Insulin

Explanation: Insulin and insulin like growth factor stimulate fetal growth.
Thyroxine has no effect on linear growth but it has effect on skeletal maturation.
Fetal or maternal GH is not essential for fetal growth in utero.